ART was introduced in
1. Tanzania
2. South Africa
3. USA
4. Zimbabwe

Correct answer: 1. Tanzania